Thioacetazone has cross resistance with ?
1. INH
2. Rifampicin
3. Ethionamide
4. Ethambutol

Correct answer: 3. Ethionamide

Explanation: Ans. is'c'i.e., Ethionamide(Ref; Essentials in tuberculosis P. 468)Thioacetazone has cross-resistance with ethionamide/prothionamide."A cross resistance between ethionamide and thiacetazone is reported.Perchlozone also shows cross resistance with thiacetazone.